acrophobia is fear of
1. heights
2. Snakes
3. Cats
4. death

Correct answer: 1. heights

Explanation: there are several named phobias that are frequently asked in entrance questions namely TYPES EXPLANATION Acro phobia Heights Agaro phobia Open places Ailuro phobia Cats Claustro phobia Closed spaces Zoo phobia Animals Myso phobia Dis and germs Xeno phobia strangers